Radiological Signs of Acute Pancreatitis include the following EXCEPT:
1. Colon cut-off sign
2. Murphy sign
3. Renal halo sign
4. Sentinel loop sign

Correct answer: 2. Murphy sign

Explanation: Ans. B. Murphy signRADIOGRAPHIC SIGN OF ACUTE PANCREATITISa. Gas filled dilated duodenal cap and loopb. Sentinel loop sign (single dilated small bowel loop), optimally demonstrated in left lateral decubitus viewc. Renal halo signs (the left kidney has surrounding halo due to edema and is displaced down)d. Colonic 'cut-off sign (dilated transverse colon becomes abruptly gasless in the region of splenic flexure)e. Gasless abdomen due to vomitingf. Dilated loop of other adjacent bowel coils (small bowel, terminal ileum, ascending and transverse colon), Paralytic ileusg. Loss of left psoas outlineh. Absent right psoas shadowi. Elevated left diaphragmj. Left pleural effusion